Problem of bias is maximum with
1. Cohort study
2. Case study
3. Case control study
4. Experimental study

Correct answer: 3. Case control study

Explanation: Bias is any systemic error in the determination of the association between exposure and disease. The relative risk may increase or decrease as a result of the bias it reflects some type of no compatibility between the study and control groups. The possibility of bias must be considered when evaluating a possible cause and effect relationship. (refer pgno 73, park 23rd edition)